Anti HBs Ab indicates -
1. Resistance to Hepatitis B
2. Acute infection
3. Good Prognosis
4. Hepatocellular Carcinoma

Correct answer: 1. Resistance to Hepatitis B